Which of the following is a stage of intuitive thought appearance in the jean-Piaget scheme -
1. Sensorimotor
2. Concrete
3. Preoperational stage
4. Formal operations stage

Correct answer: 3. Preoperational stage

Explanation: Primitive (intuitive) thinking occurs in preoperational stage of intellectual development stages by Jean Piaget